Floor of body of lateral ventricle is formed by
1. Septum pellucidum
2. Rostrum of corpus callosum
3. Thalamostriate  vein
4. Genu of corpus callosum

Correct answer: 3. Thalamostriate  vein

Explanation: Floor of body of lateral ventricle is formed by 

Caudate nucleus
Thalamostriate vein
Thalamus upper  surface 
Body of fornix upper surface

Rostrum of corpus callosum forms floor, septum pellucidum forms medial wall, and genu of corpus callosum forms anterior wall of anterior horn of lateral ventricle.